Sexual asphyxia is seen in cases of:
1. Masochism
2. Voyeurism
3. Sadism
4. Fetichism

Correct answer: 1. Masochism

Explanation: Ans. Masochism